Management of essential hypertension is?
1. No need to treat
2. Diet modification alone
3. Diet modification and drugs
4. Invasive surgery

Correct answer: 3. Diet modification and drugs

Explanation: ANSWER: (C) Diet modification and drugsREF: Harrison 17th ed chapter 241"The mainstay of treatment of essential hypertension is lifestyle, diet modification and drugs"